Vincent's angina is caused by Borrelia vincenti along with-
1. Lactobacillus
2. Peptostreptococcus
3. Fusobacterium
4. Bacteroides

Correct answer: 3. Fusobacterium

Explanation: Ans. is 'c' i.e., Fusobacterium o Vincent angina, also called trench mouth, is acute necrotizing ulcerative gingivitis.o It is an acute infection of gums characterized by pain, bleeding and ulcerationo It is caused by coinfection of Borrelia vincenti with fusobacterium.